Vitamin which helps in iron absorption:
1. Vitamin A
2. Vitamin B
3. Vitamin C
4. Vitamin E

Correct answer: 3. Vitamin C

Explanation: Ans. C Vitamin C* Vitamin C reduces ferric iron to ferrous form, thereby facilitating the absorption of dietary iron from the intestine.